In primary tuberculosis, all of the following may be seen except -
1. Cavitation
2. Caseation
3. Calcification
4. Giant cell

Correct answer: 1. Cavitation

Explanation: Tuberculosis 

Depending on the time of infection and the type of response pulmonary tuberculosis may be classified as primary and post-primary.
Primary tuberculosis is the initial infection by tubercle bacilli in a host.
Post-primary (secondary or adult) type of tuberculosis is due to reactivation of latent infection or exogenous reinfection.